All of the following is an example of squamous metaplasia except:
1. Cervix in case of chronic irritation
2. Respiratory tract in case of smoking
3. Stone in bile ducts
4. Esophagus in gastric reflux

Correct answer: 4. Esophagus in gastric reflux

Explanation: In Barrett esophagus, in which the esophageal squamous epithelium is replaced by intestinal-like columnar cells under the influence of refluxed gastric acid. Options analysis Cervix in case of chronic irritation show squamous metaplasia The most common epithelial metaplasia is columnar to squamous as occurs in the respiratory tract in response to chronic irritation. Stones in the excretory ducts of the salivary glands, pancreas, or bile ducts, which are normally lined by secretory columnar epithelium, may also lead to squamous metaplasia